Which of the following fractures is associated with high mortality and morbidity?
1. Femur shaft fractures
2. Pelviacetabular fractures
3. Subtrochanteric fractures
4. Shaft tibia fractures

Correct answer: 2. Pelviacetabular fractures

Explanation: Pelviacetabular fractures are associated with high morbidity and mortality because:They are caused by high-velocity injuries They can have associated compound fractures alongThere may be damage to associated pelvic and abdominal organsThere is significant blood loss present usually(Refer: Mohindra's Fundamentals of Orthopedics, 2nd edition, pg no. 110, 117)